In cystic fibrosis mutation occurs at?
1. One gene
2. Two gene
3. Three gene
4. Four gene

Correct answer: 1. One gene

Explanation: Ans. (a) One gene(Ref: Robbins 9th/pg 466-470)Cystic Fibrosisis an Autosomal recessive disease, caused by mutation in Cystic Fibrosis Transmembrane conductance Regulator (CFTR) gene on chr7q31.2, which leads to abnormal function of ion transport channel.